Therapeutic index is measure of:
1. Safety
2. Efficacy
3. Potency
4. Selectivity

Correct answer: 1. Safety

Explanation: Ans. (A) Safety(Ref: KDT 8th/65)Therapeutic Index (TI)It is a measure of the safety of a drug.It is calculated as a ratio of LD50 to ED50.Drugs having high TI are safer whereas those having low TI are more likely to be toxic.